A pregnant woman with Mitral stenosis is likely to undergo failure in the antenatal period. Best results to prevent Failure with severe stenosis is the following
1. T. Furosemide through out pregnancy
2. Balloon mitral valvotomy in second trimester
3. Digoxin for all heart patients
4. Admit all at 30 weeks

Correct answer: 2. Balloon mitral valvotomy in second trimester

Explanation: For Best results to prevent Failure with severe Mitral stenosis, Balloon mitral valvotomy is preferred treatment. Balloon mitral valvotomy is usually done in Second trimester,the ideal time being 20 weeks